Keratomalacia is associated with:
1. Measles
2. Mumps
3. Rubella
4. All

Correct answer: 1. Measles

Explanation: A i.e. Measles Measles and diarrhoea can cause vit A deficiency and thus lead to keratomalacia Q